Altered (bizarre) perception/interpretation of real objects is most appropriately known as:
1. Illusion
2. Delusion
3. Hallucination
4. Delirium

Correct answer: 1. Illusion

Explanation: A i.e. Illusion